Animal reservoir for swine influenza virus is
1. Field mice
2. Urban rats
3. Pigs
4. Calomys callosus

Correct answer: 3. Pigs

Explanation: The swine flu virus H1N1 caused a localised outbreak in a militiary camp in USA.